Which of the following is true regarding HIV infection -
1. Following needle stick injury inefectivity is reduced by administration of nucleoside analogues
2. CD4 counts are the best predictors of disease progression
3. Infected T cells survive for a month in infected patients
4. In latent phase HIV has minimal replication

Correct answer: 1. Following needle stick injury inefectivity is reduced by administration of nucleoside analogues

Explanation: infection after neefle syick injury is minimised by taking adaquate precautions(nucleoside analogues) REF:
MICROBIOLOGY ANANTHA NARAYANAN NINTH EDITION PAGE.583